The immediate precursor in the formation of acetoacetate from acetyl Co A in the liver is:
1. Mevalonate
2. HMG CoA
3. Acetoacetyl CoA
4. 3-hydroxy-butyryl

Correct answer: 2. HMG CoA

Explanation: B i.e. HMG CoA